All the following are TRUE of Ramsay-Hunt syndrome EXCEPT
1. Viral aetiology
2. VII nerve involved
3. Ear ache is a symptom
4. Results of spontaneous recovery of facial nerve are 85%

Correct answer: 4. Results of spontaneous recovery of facial nerve are 85%

Explanation: Ramsay-Hunt-syndrome! Herpes-Zoster oticus * Herpetic vesicles on the external ear and the inside of the cheek, with a LMN facial palsy, can be associated with severe sensineural deafness and vertigo * They may also be anaesthesia of face, giddiness, and hearing impairment due to involvement of Vth and VIIIth nerve. . Treatment is same as Bell's palsy . The prognosis is generally poorer than for a bell's palsy